The initial response to iron therapy in a child suffering from iron-deficiency anemia is
1. Reticulocytosis
2. Replacement of intracellular iron enzymes
3. Initial bone marrow response
4. Erythroid hyperplasia

Correct answer: 2. Replacement of intracellular iron enzymes

Explanation: Response to iron therapy can be documented by an increase in reticulocytes 5-10 days after the initiation of iron therapy. The hemoglobin concentration increases by about 1 g/dL weekly until normal values are restored Replacement of intracellular iron enzymes Ref essential paediatrics op ghai 9e